Best way to prevent Nosocomial infection
1. Wearing mask
2. Hand washing
3. Maintaining distance
4. Frequent Bathing

Correct answer: 2. Hand washing